Salvage pathway of purine nucleotide synthesis is used by all except
1. Brain
2. Liver
3. RBC
4. Leukocytes

Correct answer: 2. Liver

Explanation: Salvage pathway ensures the recycling of purine formed by degradation of nucleotides. Nucleoside and deoxy-nucleosides can also be savaged. The pathway is of special importance in tissues like RBC s and brain where the de novo pathway is not operating.The salvage economize intracellular energy expenditure. The purine nucleotides are synthesized bymost of the tissues by major pathway called de novo synthesis The major site is the liver.This pathway operates in the cytoplasm. REF : DM.VASUDEVAN.TEXTBOOK ; SEVENTH EDITION ; PAGE NO :563 and 564.